Tokyo Convention Act of 1975 pertains to?
1. MTP
2. Clinical trial on humans
3. Women rights
4. Offences committed on board aircraft

Correct answer: 4. Offences committed on board aircraft

Explanation: Ans. is 'd' i.e., Offences committed on board aircraft Tokyo Convention Act 1975 Conventions on offences and certain acts committed while on board aircraft are carried out in India under the Tokyo Convention Act, 1975.